Recovery in cataract surgery is fastest with which of the following –
1. ICCE
2. ECCE
3. Phacoemulsification
4. ECCE with IOL

Correct answer: 3. Phacoemulsification

Explanation: Recovery is fastest with phacoemulsification as incision is very small and sutures are not required.